A 58-year-old man is undergoing cardiac catheterization for evaluation of chest pain symptoms. He is worried about the risks, and as part of obtaining informed consent, you advise him about the risks and benefits of the procedure. Which of the following aspects of angiography is true?
1. it is contraindicated in the presence of cyanosis
2. it is considered noninvasive
3. it is generally performed with cardiopulmonary bypass
4. it may cause renal failure

Correct answer: 4. it may cause renal failure

Explanation: Contrast media used in cardiac catheterization may result in renal impairment. The group at highest risk includes diabetics with renal disease and those with preexisting renal failure. Good hydration is essential. Other manifestations of contrast media include nausea and vomiting (common), and anaphylactoid reactions characterized by low-grade fever, hives, itching, angioedema, bronchospasm, and even shock. Side effects are reduced with the use of new low osmolality contrast media.